The most common genetic cause of liver disease in children is -
1. Haemochromatosis
2. a1 antitrypsin deficiency
3. Cystic fibrosis
4. Glyocgen storage disease

Correct answer: 2. a1 antitrypsin deficiency

Explanation: Ans. is 'b' i.e., a1-antitripsin deficiency o Amongst the given options ai antitrypsin deficiency is the best answer because neonatal hepatitis and extrahepatic biliary atresia are not there.